Marie and Sainton's disease is also known as:
1. Dentinogenesis imperfecta.
2. Cleidocranial dysostosis.
3. Turners hypoplasia.
4. Amelogenesia imperfecta.

Correct answer: 2. Cleidocranial dysostosis.

Explanation: Important Mainfestations of cleidocranial dysostosis or Marie and Sainton's disease:

Partial or complete absence of clavicles.
Delayed closure of fontanelle.
Wormian bones are common.
The sagittal suture is characteristically sunken, giving the skull a flat appearance.
Hypoplasia of maxilla.
Prolonged retention of deciduous teeth (AP-14) and subsequent delay in eruption of succedaneous teeth.
Absence or paucity of cellular cementum on the roots of the permanent teeth with no increased thickening of the primary acellular cementum.